The transition temperature of lipid bilayers of the cell membrane is increased by
1. Cholesterol
2. Saturated fatty acids
3. Hydrocarbons
4. Unsaturated fatty acids

Correct answer: 2. Saturated fatty acids

Explanation: The temperature at which the crystalline or gel-like state of membrane structures turns into fluid-like the state is known as Transition temperature. Higher the transition temperature, lower the fluidity of the membrane. The transition temperature is increased maximum by the more saturated fatty acids which interact with each other through their long chains strongly and results in lesser fluidity.